Smooth muscle of the IRIS is developed from-
1. Surface Ectoderm
2. Mesoderm
3. Neural Crest
4. Neural Ectoderm

Correct answer: 4. Neural Ectoderm

Explanation: Ans- D. Neuroectoderm forms iris muscles. Mesoderm gives rise to blood vessels and choroid Sphicter papillae and dilator papillae are smooth muscles of iris which are developed from neuroectoderm. Sphincter papillae - a circular bundle of smooth muscles running around the pupillary margin- causes constriction of the pupil. Dilator papillae- arranged radically near the root of the iris,causes dilation of the pupil.